False statement about Mirena is
1. Progestrone containing lUCD
2. Contain desogestrol
3. Used in hormone replacement therapy
4. Decreases menstural blood flow

Correct answer: 2. Contain desogestrol

Explanation: It is a levanorgestrel releasing device which contains about 52 mg of levanorgestrel released at a rate approximately 20 microgram perday.